A lab technician notes that prolactin levels in a patients, blood sample is high. This could be due to all except
1. Sleep
2. Pregnancy
3. Stress
4. L-dopa

Correct answer: 4. L-dopa

Explanation: L-Dopa decreases prolactin secretion by increasing the formation of dopamine (prolactin inhibitory hormone) Increased Prolactin Secretion Decreased Prolactin Secretion Sleep Dopamine Stress L-Dopa Strenous excercise Apomorphine Sexual intercourse in women Bromocriptine and related ergot derivatives Preganancy Nursing Breast stimulation in non-lactating women Estrogen Hypothyroidism TRH Phenothiazines, Butyrophenes Opioids' Ref: Guyton and Hall 13th edition Pgno: 942